Obesity Index defined as Height (cm) - 100
1. BMI
2. Broca's Index
3. Ponderal Index
4. Corpulence Index

Correct answer: 2. Broca's Index